While Ear toileting water is pushed along
1. Antero superior wall of EAC
2. Postero superior wall of EAC
3. Antero inferior wall of EAC
4. Postero inferior wall of EAC

Correct answer: 2. Postero superior wall of EAC